Which of the following can be done by 15 months child
1. Walks alone
2. Transfers object hand to hand
3. Builds tower of 2 cubes
4. All of the above

Correct answer: 4. All of the above

Explanation: A child walks without support 13 months onwards Transfers objects at 7 months Builds a tower of 2 cubes at 15 months Speaks 10 words with meaning at 18 months Speaks 2 word sentences at 2 years. Ref: Nelson's 20th edition, page 66.